A 6 year old child has history of birth asphyxia does not communicate well has slow mental and physical growth, does not mix with people, has limited interests gets widely agitated if disturbed. Diagnosis is:
1. Hyperkinetic child
2. Autistic Disorder
3. Attention defecit Disorder
4. Mixed Receptive -Expressive Language Disorder

Correct answer: 2. Autistic Disorder

Explanation: B i.e. Autistic disorder